Treatment of Phlyctenular conjunctivitis is
1. Systemic steroids
2. Topical steroids
3. Antibiotics
4. Miotics

Correct answer: 2. Topical steroids

Explanation: It's an endogenous allergy treated by anti allergics and mild topical steroids Refer: Khurana 6th edition page number 83